Which gland opens on postero lateral margin of vaginal opening:
1. Skene gland
2. Cooper gland
3. Bartholin's gland
4. Bulbourethral gland

Correct answer: 3. Bartholin's gland

Explanation: Ans. (c) Bartholin's glandRef. Gray's basic anatomy / 248* The orifice of urethra and vagina are associated with opening of glands.* The ducts of para-urethral glands (skene's gland) opens into the vestibule, one on each side of the lateral margin of urethra.* The ducts of greater vestibular gland (Bartholin's gland) open adjacent to the postero-lateral margin of the vaginal opening in the crease between the vaginal orifice and remanants of hymen.* Bartholin gland the female homologues of the bulbourethral glands in men.Also Now* When bartholins gland is blocked, a fluid filled cyst named bartholins cyst develops.* TOC for bartholins cyst: Marsuplization.